Maximum air volme in the lung ?
1. 1200 ml
2. 2400 ml
3. 3000 ml
4. 5900 ml

Correct answer: 4. 5900 ml

Explanation: Ans. is 'd' i.e., 5900 ml.Total lung capacity (TLC) : - It is the maximum volume of air in the lung at the end of maximal inspiration, i.e., maximum amount of air the lung can contain. In other words, TLC = TV + IRV + ERV + RV or TLC = VC + RV (because VC = TV + IRV + ERV). TLC is about 5900 ml.